Bag of worms in scrotum is seen in
1. varicocele
2. Spermatocele
3. Inguinal hernia
4. Hydrocele

Correct answer: 1. varicocele

Explanation: Ans. is 'a' i.e.,Varicocele Varicocele* A varicocele is a varicose dilatation of the veins draining the testis.* Most varicoceles present in adolescence or early adulthood, usually on the left.* In many cases the dilated vessels are cremasteric veins and not part of the pampiniform plexus.* Obstruction of the left testicular vein by a renal tumour or after nephrectomy is a cause of varicocele in later life; characteristically, the varicocele does not decompress in the supine position.* Varicocele is usually symptomless but there may be an annoying dragging discomfort that is worse if the testis is unsupported.* The scrotum on the affected side hangs lower than normal, and on palpation, with the patient standing, the varicose plexus feels like a bag of worms.* There may be a cough impulse.* If the patient lies down the veins empty by gravity and this provides an opportunity to ensure that the underlying testis is normal to palpation.* In longstanding cases the affected testis is smaller and softer than its fellow owing to a minor degree of atrophy.* It is widely believed that varicocele causes infertility but the evidence is inconclusive.